A person preoccupied with worries about falling ill is
1. Maniac
2. Hypochondriac
3. Depressed
4. Delirium

Correct answer: 2. Hypochondriac

Explanation: DSM- IV-TRDSM-5 Clinical PresentationSomatoform and related DisordersSomatic Symptom And Related DisorderSomatization disorderYoung age, FemaleSomatic symptom disorderPoly symptomatic concerned over symptoms *Ex: abdominal pain, chest painHypochondriasisMiddle or old ageM:F 1:1Illness anxiety disorderConcerned over Disease*Ex: appendicitis, anginaConversion disorder*M<F, Young age, Low SES, psychologically unsophisticatedConversion (functional neurological symptom) disorder *Monosymptomatic Mostly acute Simulates CNS disease*Body dysmorphic disorder*M<F, Young ageListed in OCD and related disordersSubjective feelings of ugliness or concern with body defect*Pain disorder FemaleRemovedPain syndrome simulatedundifferentiated somatoform disorderUnspecified somatic symptom and related disordersomatoform disorders not otherwise described presently for 6 months or longersomatoform disorder not otherwise specifiedOther specified somatic symptom and related disorderfor symptoms that do not meet any of the somatoform diagnosesPsychological factors affecting other medical condition(NEW IN DSM-5)Ex) depression due to malignancy Listed as a separate disorderFactitious disorderfake illnessRef: P.634 P.636 chap 17 - Somatoform Disorders(Kaplan & Sadock's Synopsis of Psychiatry 10th Edition)